Takayasu arteritis mainly affects?
1. dorsalis pedis
2. Celiac artery
3. Subclavain artery
4. SMA

Correct answer: 3. Subclavain artery

Explanation: takayasu arteriis mainly affects aorta and its main branches and also pulmonary artery Takayasu arteritis of subclavian artery in a Caucasian.Takayasu arteritis, an inflammatory and obliterative disease of medium and large arteries, is classified as a giant cell arteritis. It has a predilection for the aortic arch, its main branches, and coronary and pulmonary arteries Ref Davidson 23rd edition pg 456